A serious adverse effect seen with zoledronate is?
1. Anterior uveitis
2. Ventricular fibrillation
3. Peptic ulcer
4. Acute renal failure

Correct answer: 4. Acute renal failure

Explanation: Zoledronate Intravenous 3rd generation bisphosphonateseffective in the management of hypercalcemia Rapid normalization of S. Ca2+ S/E - Severe hypocalcemia Renal toxicity, Osteonecrosis of the jaw